All of the following casues subcortical dementia except-
1. Alzhimer's disease
2. Parkinsonism
3. HIV encephalopathy
4. Progressive supra nuclear palsy

Correct answer: 1. Alzhimer's disease